Vitamin B6 deficiency is associated with all of the following except
1. Penicillamine
2. INH
3. Cyclosporin
4. Cycloserine

Correct answer: 3. Cyclosporin